Which clinical feature of differentiates orbital apex syndrome (OAS) from superior orbital fissure syndrome (SOFS)?
1. Proptosis
2. Horner's syndrome
3. Loss of vision
4. Loss of ocular movements

Correct answer: 3. Loss of vision

Explanation: Proptosis and loss of ocular movements can occur in both. Horner syndrome is more likely a feature of cavernous sinus syndrome which differentiates it from superior orbital fissure syndrome. As orbital apex syndrome affects optic canal , it causes loss of vision which differentiates it from SOFS.